All of the following are true regarding oat cell carcinoma of lung, except:
1. Varient of large cell anaplastic CART
2. Chemotherapy is effective
3. Paraneoplastic syndrome may be present
4. Causes SIADH

Correct answer: 1. Varient of large cell anaplastic CART

Explanation: Answer is A (Variant of large cell Anaplastic Carcinoma): Oat cell carcinomas are synonymous with small cell carcinomas of lung. Large cell anaplastic carcinoma constitutes an entirely different entity. Characteristic of Small cell carcinoma lung: Usually present as central masses Cigarette smoking is an important risk factor and association of smoking with small cell carcinoma lung is high. Associated with release of ACTH, AVO, calcitonin, ANF and Gastrin releasing peptide and thus may manifest with hypokalemia (ectopic ACTH). Highly malignant tumors with least five year survival rates. Highly metastatic lesions with widespread disease at time of diagnosis. Management is primarily with chemotherapy with or without radiotherapy 90% regression with chemotherapy Objective shrinkage in 80% to 90% patients with radiotherapy. Surgery is unlikely to be curative because disease is usually widespread at presentation.